Fluoride ions act by inhibiting
1. Enolase
2. Hexokinase
3. Cytochrome oxidase
4. Carbonic anhydrase

Correct answer: 1. Enolase

Explanation: Enolase is inhibited by fluoride, and when blood samples are taken for measurement of glucose, glycolysis is inhibited by taking the sample into tubes containing fluoride. Enolase is also dependent on the presence of either Mg2+ or Mn2+ ions. Reference: Harper; 30th edition; Page no: 171